All of the following are true about Brugia malayi except -
1. The intermediate hosts in India are Mansonia
2. The tail tip is free from nuclei
3. Nuclei are blurred, so counting is difficult
4. Adult worm is found in the lymphatic system

Correct answer: 2. The tail tip is free from nuclei

Explanation: TAIL TIP:- no nuclei seen in W. bancrofti 2 terminal nuclei :-microfilaria of brugia malayi Brugia malayi: 1. Transmission: Nocturnal strains: Transmitted from Man-Man by bite of Mansonia Subperiodic strains: Transmitted from monkey (Zoonotic): by Mansonia Anopheles and Aedes rarely transmit. Diagnosis: Microfilaria is differentiated from that of W. bancrofti by pointed tail tip, Nuclei column darkly stained, large, coarse, overlapping, extended till the tail tip. Head end of microfilaria - Sheathed, cephalic space (2:1), darkly stained large coarse overlapping nuclei. Tail end of microfilaria - 4-5 nuclei in the tail region and 2 widely spaced nuclei in tail tip